Most common site of gall stone impactation is -
1. Duedenojejunal junction
2. Proximal to iliocaecal junction
3. Distal to iliocaecal junction
4. Colon

Correct answer: 2. Proximal to iliocaecal junction

Explanation: Ans is 'b' i.e., Proximal to Ileocaecal junction